Digital clubbing is seen in all except
1. >Endocarditis
2. >Pulmonary arteriovenous fistula
3. >Tricuspid atresia
4. >Aortic dissection

Correct answer: 4. >Aortic dissection

Explanation: Aortic dissection Causes of clubbing Remember Acute endocarditis does not cause clubbing, clubbing is caused by subacute endocarditis.